Which laxative acts by opening of Chloride channels ?
1. Docusate
2. Anthraquinone
3. Lubiprostone
4. Bisacodyl

Correct answer: 3. Lubiprostone

Explanation: Ans. is 'c' i.e., Lubiprostone o Lubiprostone is used for chronic constipation, it acts by - o Stimulating Cl- channel opening in the intestine. Increasing liquid secretion in gut. Decreasing transit time.